Which of the following is TRUE in a 2 year old child with a left convergent concomitant squint?
1. The squint angle between the 2 eyes will remain constant for all directions of gaze
2. Squint angle changes between two eyes for all directions
3. Squint angle remains constant in some directions of gaze
4. None of the above is true

Correct answer: 1. The squint angle between the 2 eyes will remain constant for all directions of gaze

Explanation: Concomitant convergent squint or esotropia denotes inward deviation of one eye. Two types: Unilateral: The same eye always deviates inward and the second normal eye takes deviation Alternating: Either of the eyes deviates inward and the other eye takes up fixation, alternately. In concomitant strabismus the amount of deviation in the squinting eye remains constant in all the directions of gaze; and there is no associated limitation of ocular movements. Ref: Comprehensive Ophthalmology by A K Khurana, 4th edition, Page 324, 325.